All may cause traumatic asphyxia, except:
1. Railway accident
2. Road traffic accident
3. Accidental strangulation
4. Stampede

Correct answer: 3. Accidental strangulation

Explanation: Ans. Accidental strangulation